Pseudochylous pleural effusion is seen in
1. TB
2. Lymphoma
3. Carcinoma lung
4. Filariasis

Correct answer: 1. TB

Explanation: In chronic effusion like tubercular/rheumatoid arthritis fluid rich in cholesterol mimicking chyle accumulates. Chyliform (pseudochylous) pleural effusion. Author information: A chyliform (pseudochylous) effusion is an uncommon disease entity which develops after an exudative effusion is in situ for a long time. It is commonly initiated by a tuberculous pleurisy and it is important to exclude the presence of active tuberculosis Ref Davidson edition23rd pg 626